Nasal mucosa is supplied by -
1. Only external carotid artery
2. Only internal carotid artery
3. Mainly external carotid artery
4. Mainly internal carotid artery

Correct answer: 3. Mainly external carotid artery

Explanation: Both internal carotid artery and external carotid artery supply the nose but main artery is the external carotid artery.